The lesion associated with recurrent dislocation of shoulder include all, except:
1. Hill-Sach's lesion
2. Bankart's lesion
3. Capsular laxity
4. Supraspinatous tear

Correct answer: 4. Supraspinatous tear

Explanation: D i.e. Supraspinatous tear * Reccurrent anterior shoulder dislocation is commonly associated with Hill sacks defect, Bankart lesion and joint capsule laxityQ (and rarely with joint capsule tear)* Acute traumatic (non recurrent dislocation is more commonly associated with rotator cuff injuryQ, anterior capsular tear, nerve injuries, avulsion fracture of greater tuberosity, fracture of neck of humerusQ & coracoid. (as compared to recurrent shoulder dislocation)